Billings method is for -
1. Screening
2. Contraception
3. Abortion
4. None

Correct answer: 2. Contraception

Explanation: Cervical Mucus method Also known as 'Billing' s Method' or 'Ovulation method' Based on changes in characteristics of cervical mucosa 1.At ovulation : Watery, clear, smooth, slippery, profuse (like egg White) 2. After ovulation : Thickens and lessens in quantity Ref: Park 25th edition Pgno : 559